First order kinetics is characterized by:
1. Dose independent elimination
2. Decreasing clearance as plasma concentration increases
3. Increasing rate of elimination as plasma concentration increases
4. No relationship between rate of elimination and plasma concentration

Correct answer: 3. Increasing rate of elimination as plasma concentration increases

Explanation: First order (exponential) kinetics; The rate of elimination is directly proportional to the drug concentration, Clearance remains constant, or a constant fraction of the drug present in the body is eliminated in unit time. Ref:KD Tripathi pharmacology 7th edition (page.no: 30)